A 12 year old male patient came for routine dental examination. He is a known case of asthma and has a habit of mouth breathing. Intra-oral examination reveals chronic marginal gingivitis in relation to maxillary anterior teeth. Which of the following finding will not be seen in this patient?
1. Low caries rate
2. High arched palate
3. Decreased salivary rate
4. Greater overjet

Correct answer: 1. Low caries rate

Explanation: Oral findings of children with moderate to severe asthma include higher caries rates, decreased salivary rates, increased prevalence of oral mucosal changes characteristic of chronic mouth breathers, and increased levels of gingivitis. Increased incidence of orofacial abnormalities such  as high palatal vault, more posterior crossbites, greater overjets, and increased facial height is also seen.